Which of the following is the only hemolytic anaemia caused by acquired intrinsic defect in the cell membrane:
1. Sickle cell anaemia
2. Thalassemia
3. PNH
4. None of the above

Correct answer: 3. PNH

Explanation: PNH is the only hemolytic anemia caused by an acquired intrinsic defect in the cell membrane. 
The stem cells of the bone marrow acquire mutations in Phosphatidyl inositol glycan A (PIGA) gene. 
The triad of hemolysis, pancytopenia and thrombosis is unique to PNH. 
Thrombosis is the leading cause of disease related death in PNH.